Keyhole bullet entry is a feature of -
1. Tandem bullet
2. Ricochet bullet
3. Single bullet
4. Double bullet

Correct answer: 2. Ricochet bullet

Explanation: the synopsis of forensic medicine & toxicology ; Dr k.s narayan reddy ;28th edition ; pg.no 134 A ricochet bullet is one in which before striking the object aimed at ,strikes some intervening object first then after rebounding from these hits the object. Sometimes a bullet may strike an object & tumble & hit the body side on ,producing an elongated wound of entrance like a keyhole .